About infective endocarditis (IE), the following is false:
1. Duke’s criteria is used to diagnose IE
2. Libman Sack’s endocarditis is seen in Systemic Lupus Erythematosus
3. Osler’s nodes are seen at the occiput and pressure bearing areas
4. Janeway lesions are present on the skin

Correct answer: 3. Osler’s nodes are seen at the occiput and pressure bearing areas

Explanation: Osler's Nodes are seen in the pulp of fingers.